A 46-year-old woman has a history of infection in her perineal region. A comprehensive examination reveals a tear of the superior boundary of the superficial perineal space. Which of the following structures would most likely be injured
1. Pelvic diaphragm
2. Colles fascia
3. Superficial perineal fascia
4. Perineal membrane

Correct answer: 4. Perineal membrane

Explanation: The superior (deep) boundary of the superficial perineal space is the perineal membrane (inferior fascia of the urogenital diaphragm). Colle's fascia is the deep membranous layer of the superficial perineal fascia. Deep perineal fascia essentially divides the superficial perineal space into a superficial and deep compartment. Pelvic diaphragm consists of the levator ani and coccygeus muscles.